Macrophage is CNS
1. Fibrous Astrocyte
2. Microglia
3. Oligodendrocyte
4. Protoplasmic astrocyte

Correct answer: 2. Microglia

Explanation: Microglia are scavenger cells in CNS that resemble tissue macrophages and remove debris resulting from the injury. Ganong's review of medical physiology; 23rd edition; pg: 80